Child having perianal pruritus with following eggs is due to -
1. E.vermicularis
2. Ascaris
3. Ancylostoma duodenale
4. S stercoral is

Correct answer: 1. E.vermicularis

Explanation: Ans. is 'a' i.e., E. vermicularis Clinical features of thread worm Infectionso Most pimvorm infections are asymptomatic.o Perianalpruritis is the cardinal symptom. The itching, is worse at night and disturbes sleep,o Heavy infections can cause abdominal pain and weight loss.